Exudative pleural effusion is seen in
1. Congestive heart failure
2. Nephrotic syndrome
3. Mesothelioma
4. Cirrhosis

Correct answer: 3. Mesothelioma